Which disaccharide is NOT broken down in GIT when ingested:
1. Lactulose
2. Maltose
3. Sucrose
4. Lactose

Correct answer: 1. Lactulose

Explanation: Lactulose is not broken down in the intestine when it is ingested Lactulose synthetic disaccharide made up of galactose & fructose, joined by ss bond. Due to ss bond, it is not broken in the intestine when it is ingested, Use- In constipation. EXCEPTIONS : If beta bond is present on the side of Galactose, then beta bond becomes easy to be broken. Any such enzyme therefore is known as Beta Galactosidase e.g. Lactase ss Galactosyl Ceramidase -breaks lactose(galactose joined to glucose by beta bond) breaks Beta-Galactosyl Ceramide,(Glycolipid in which galactose is joined to ceramide by ss bond) deficient in lactose intolerance deficient in Krabbe's disease